Bimodal distribution is seen in ?
1. Thyroid carcinoma
2. Hodgkins lymphoma
3. Renal carcinoma
4. Liver carcinoma

Correct answer: 2. Hodgkins lymphoma

Explanation: Ans. is 'b' i.e., Hodgkins lymphoma One important phenomenon in age distribution is bimodality, i.e. some disease show two peaks in different age groups. Diseases showing bimodality are Hodgkin's disease, leukaemia, and female breast cancer.